Which of the following does not pass through cavernous sinus?
1. Occulomotor (III) nerve
2. Trochlear nerve
3. Medial cerebral artery
4. Trigeminal nerve

Correct answer: 3. Medial cerebral artery